In first step of Heme synthesis, what is required?
1. Fe
2. Folate
3. Glycine
4. Histidine

Correct answer: 3. Glycine

Explanation: Stage I: Synthesis of d-Amino Laevulinic Acid (d-ALA) (Intramitochondrial) * Biosynthesis begins with the condensation of `succinyl CoA' ("active" succinate) and glycine to form `a-amino-b-Ketoadipic acid". the a-amino-b-ketoadipic acid then undergoes decarboxylation to produce d-ALA. Both the reactions are catalyzed by the enzyme d-ALA- synthetase, which requires pyridoxal-P (B6-P) and Mg++ as coenzymes. In liver cells, the synthesis occurs in the mitochondrion. Pantothenic acid is also required at this stage is a constituent of CoA-SH.Ref: Textbook of medical biochemistry, MN Chatterji, 8th edition, page no: 541